Not seen in Korsakoff's syndrome -
1. Clear consciousness
2. Inability to learn new things
3. Halluciations
4. Confabulation

Correct answer: 3. Halluciations